Radial tuberosity provides attachment to-
1. Brachialis
2. Biceps brachii
3. Triceps
4. Coracobrachialis

Correct answer: 2. Biceps brachii

Explanation: Ans. is 'b' i.e., Biceps brachii * Beneath the neck of the radius, on the medial side, is an eminence, the radial tuberosity; its surface is divided into:i) An anterior, rough portion, for the insertion of the tendon of the biceps brachii.ii) A posterior, smooth portion, on which a bursa is interposed between the tendon and the bone.